After giving treatment for syphilis ,the response to treatment can be best assessed by?
1. FTA-ABS
2. VDRL
3. TPHA
4. Immobilisation

Correct answer: 2. VDRL